All of the following are features of musculocutaneous nerve injury at axilla except :
1. Loss of flexion of shoulder
2. Loss of flexion at elbow
3. Loss of supination of forearm
4. Loss of sensation on radial side of forearm

Correct answer: 1. Loss of flexion of shoulder

Explanation: A i.e. Loss of flexion of shoulder